Pituitary develops from:
1. Posterior neural ridge
2. Rathke pouch
3. Neural crest
4. Neural plate

Correct answer: 2. Rathke pouch

Explanation: Ans. B Rathke pouchRef: Hypothalamic-pituitary Development: Genetic and Clinical Aspect, pg. 2-3* The anterior pituitary and intermediate lobe of pituitary develops from Rathke's pouch, which is initially derived from the anterior neural ridge, adjacent to cells in the neural plate.* Neural plate contributes to ventral diencephalon.* Posterior lobe of pituitary develops from the infundibulum, an evagination of the ventral diencephalon.